Which among the following is the culture media of leptospira?
1. Korthof
2. Perkin
3. Tinsdale
4. Bakers

Correct answer: 1. Korthof

Explanation: Leptospira is a fastidious organism and can be grown on Korthof Babudeiri, Stuart's medium and Fletcher's semisolid medium. EMJH media is the most successful medium for its growth. Tinsdale medium is used for the isolation of Corynebacterium diphtheriae. Other culture medium used for C. diphtheriae are Loffler's medium and dorset egg medium, tellurite agar. Ref: Molecular Detection of Human Bacterial Pathogens edited by Dongyou Liu, page 1175